Method of identification using lips:
1. Dactylography
2. Poroscopy
3. Cheiloscopy
4. Tricology

Correct answer: 3. Cheiloscopy

Explanation: Ans. Cheiloscopy